Lacrimal gland receives post ganglion innervation through?
1. Submandibular ganglion
2. Pterygopalatine ganglion
3. Otic ganglion
4. Ciliary ganglion

Correct answer: 2. Pterygopalatine ganglion

Explanation: The secretomotor fibres run as follows: Lacrimatory nucleus--nervus intermedius-- facial nerve--geniculate ganglion--greater petrosal nerve--nerve of pterygoid canal--pterygopalatine ganglion--relay--zygomatic nerve--zygomaticotemporal--lacrimal nerve-- lacrimal gland. Ref: BD Chaurasia's HUMAN ANATOMY, Volume 3, 4th edition.